Body Mass Index is expressed as:
1. Gram/metre2
2. Gram/ centimetre2
3. Kilogram/ metre2
4. Kilogram/centimetre2

Correct answer: 3. Kilogram/ metre2

Explanation: Ans: C i.e. Kilogram/ metre2 Body Mass Index is defined as the weight in kilograms divided by the square of the height in metres (Kg/m2)